True about Trastuzumab are all except:
1. Better combination with paclitaxel
2. Used in metastatic breast cancer
3. Causes upregulation of HER2/neu
4. No bone marrow toxicity

Correct answer: 3. Causes upregulation of HER2/neu

Explanation: Causes upregulation of HER2/neu